A 35 year old man taking steroids for a long time on withdrawal developed fever and generalised pustules all over his body, what can be possible cause?
1. Drug eruption
2. Bacterial infection
3. Septicaemia
4. Pustular Psoriasis

Correct answer: 4. Pustular Psoriasis

Explanation: Pustular psoriasis develops on -1. Withdrawal of systemic corticosteroids2. Application of contact irritants like coal tar, dithranol